Basket weave appearance on electron microscopy is classically seen in
1. RPGN
2. Alport's syndrome
3. HSP
4. IgA nephropathy

Correct answer: 2. Alport's syndrome

Explanation: Basket weave appearance is a classical term used for electron microscopy finding in Alport syndrome. In this case, GBM splitting and lamination of lamina densa occurs. Thus giving the appearance.